Enlarged corneal nerves may be seen in all of the following except
1. Keratoconus
2. Herpes simplex keratitis
3. Leprosy
4. Neurofibromatosis

Correct answer: 2. Herpes simplex keratitis

Explanation: Ans. (b) Herpes simplex keratitisRef: Causes of Enlarged Corneal Nerves International Ophthalmology Clinics 4 (1): 12 - 23; Winter 2001 (Lippincott Williams & Wilkins) by kim, Stella K. M.D.: Dohlman, Claes H. M.D., Ph. D